Indicators of active multiplication of hepatitis B virus is -
1. HbsAg
2. HbcAg
3. HbeAg
4. Anti Hbs

Correct answer: 3. HbeAg